Feature in otosclerosis include -
1. Sounds not heard in noisy environment
2. Normal tympanum
3. More common in males
4. Malleus is most commonly affected

Correct answer: 2. Normal tympanum